Transition from G2 to M phase of the ceil cycle is controlled by
1. Retinoblastoma gene product
2. p53 protein
3. CyclinE
4. CyclinB

Correct answer: 4. CyclinB

Explanation: . CyclinB